Increased LDH in Aqueous Humor suggest a diagnosis of -
1. Galactosemia
2. Retinoblastoma
3. Glaucoma
4. Gyrate atrophy

Correct answer: 2. Retinoblastoma

Explanation: Lactic dehydrogenase level is raised in aqueous humour in retinoblastoma. Ref: ak khurana 6th edition